Which of the following is used in rape victims to determine of rupture of hymen and whether rupture is recent or old -
1. Glaister Keene Rods
2. Gaba Rod
3. Gram Rod
4. Cylinder Rod

Correct answer: 1. Glaister Keene Rods

Explanation: Ans. is 'a' i.e., Glaister Keene Rods Glaister Keene Rodso Glaister Keene Rods may be used to determine degree of rupture of hymen and whether the rupture is recent or old. These rods are bent at 150 degrees at one end.These are used for close examination of the hymen.These are glass or plastic rods with a diameter of 5 mm having a globe at one end and varying in size from one to two and half cm.The rod is warmed to body temperature and passed through the hymental orifice, spherical head first.Then it is passed round the posterior surface of hymen, which is slightly stretched by separation of labia minora. In this way, the edges of the hymen become slightly everted. By slowtly rotating the sphere around the edges, natural notches are easily differentiated from tears, recent or old.This method does not cause pain or injury.